Topical immunomodulator used for the treatment of genital warts is:
1. Imiquimod
2. Podophylline
3. Interferon
4. Acyclovir

Correct answer: 1. Imiquimod

Explanation: Genital wart treatments that can be applied directly to your skin include: Imiquimod (Aldara, Zyclara). This cream appears to boost the immune system's ability to fight genital warts. Avoid sexual contact while the cream is on your skin. It may weaken condoms and diaphragms and may irritate. One possible side effect is redness of the skin. Other side effects may include blisters, body aches or pain, cough, rashes, and fatigue. Podophyllin and podofilox (Condylox). Podophyllin is a plant-based resin that destroys genital wart tissue. Podofilox contains the same active compound but can be safely applied. Trichloroacetic acid (TCA). This chemical treatment burns off genital warts. TCA must always be applied by a doctor. Side effects can include mild skin irritation, sores or pain. REF KD Tripathi 8th ed